Prevention of emergence of risk factor is
1. Primordial prevention
2. Primary prevention
3. Secondary prevention
4. Tertiary prevention

Correct answer: 1. Primordial prevention

Explanation: Primodial prevention aims at preventing emergence of risk factors Ref : Park's Textbook of Preventive and Social Medicine; 23rd edition